Chlamydia are isolated by
1. Enzyme immune assay
2. Yolk sac inoculation
3. Direct immunofluorescence
4. Microimmunofluorescence

Correct answer: 2. Yolk sac inoculation

Explanation: Isolation of chlamydiae can be done by :Inoculation into yolk sac/embryonated eggs of 6-8 day old chick embryo which may be pretreated by streptomycin or polymyxin B.Inoculation into experimental animals (mice)Tissue/cell culture:Preferred modeCommonly used cell lines are McCoy and HeLa cells.Cell cultures are pretreated by irradiation or chemicals such as 5-iodo-2 deoxyuridines or cycloheximide to enhance replication and detection of inclusion bodies.Pretreatment with DEAE dextran or centrifugation after inoculation promotes contact between chlamydiae particles and cell monolayer.